Which of the following does not lead to gynecomastia in males?
1. Spironolactone
2. Cimetidine
3. Levodopa
4. Clomiphene

Correct answer: 3. Levodopa

Explanation: Levodopa REF: Thompson DF, Caer JR. Drug-induced gynecomastia. Pharmacotherapy Jan-Feb 1993;13(1): 37-45 Repeat December 2008 Various drugs are implicated in gynecomastia and can be classified into the following categories (although drugs in the same class do not all cause gynecomastia to the same extent)- Estrogens or drugs with estrogen like activity diethylstilbestrol, digitalis, phytoestrogens, estrogen Drugs that enhance estrogen synthesis gonadotropins, clomiphene, phenytoin, exogenous testosterone Drugs that inhibit testosterone synthesis or action ketoconazole, metronidazole, alkylating agents, cisplatin, spironolactone, cimetidine, flutamide, finasteride, and etomidate Drugs that act by unknown lsonicotinic acid hydrazide, methyldopa, busulfan, tricyclic mechanisms antidepressants, diazepam, penicillamine, omeprazole, phenothiazines, calcium channel blockers, ACE inhibitors, alcohol, marijuana, and heroin